Hyperosmolarcoma are caused by the following excep t by
1. Hyperglycemia
2. Uremia
3. Increased concentration of plasma proteins
4. Increase in plasma sodium concentration

Correct answer: 3. Increased concentration of plasma proteins

Explanation: though the concentration of proteins is large they only contribute 2mosm/lbecause of their very high molecular weights